Which is the primary gland responsible for thermoregulatory sweating in humans?
1. Apocrine gland
2. Eccrine gland
3. Sebaceous gland
4. Holocrine gland

Correct answer: 2. Eccrine gland

Explanation: Human sweat glands are generally divided into two types: apocrine and eccrine. The eccrine gland is the primary gland responsible for thermoregulatory sweating in humans. Eccrine sweat glands are distributed over nearly the entire body surface. Apocrine glands are located only in genital, axillary and mammary areas. Ref: Rook's textbook of dermatology, 8th edition, Pg 3.12